All of the following infections are sexually transmitted, except:
1. Candida albicans
2. Echinococcus
3. Molluscum contagiosum
4. Group B streptococcus

Correct answer: 2. Echinococcus

Explanation: Candida albicans, molluscum contagiosum virus and group B streptococcus are sexually transmitted diseases. Echinococcus granulosus is spread through feco-oral route. Sexually transmitted pathogens include : Bacteria such as Neisseria Gonorrhea, Chlamydia trachomatis, Mycoplasma hominis, Treponema pallidum, Hemophilus ducreyi, Gardenella vaginalis, Group B streptococci. Fungi such as Candida albicans, Viruses such as HSV, Hepatitis B, CMV, HPV, Molluscum Contagiosum, Protozoa such as Trichomonas vaginalis and Entamoeba histolytica. Ref: Harrison's Principle of Internal Medicine, 16th Edition, Page 1095, 1762, Chapter 220; Blaustein's Pathology of the Female Genital Tract By Ancel Blaustein, 5th Edition, Page 161